CO2 increases ventilation by acting mainly on receptors of
1. Apneustic center
2. Pneumotaxic center
3. Vental surface of medulla
4. DRG

Correct answer: 3. Vental surface of medulla

Explanation: In the medulla, the ventral respiratory group (VRG) consists of four groups of neurons that make up the exhalation (expiratory) area of respiratory control. ... The VRG contains both inspiratory and expiratory neurons. In quiet, restful breathing, the ventral respiratory group of neurons are inactive Ref: guyton and hall textbook of medical physiology 12 edition page number: 370,371,372